Inferior cerebellar peduncle has all of the following tracts, except:
1. Vestibulo cerebellar
2. Olivo cerebellar
3. Spinocerebellar
4. Pontocerebellar

Correct answer: 4. Pontocerebellar

Explanation: Pontocerebellar